A patient with breast carcinoma was given 3 months of radiation therapy. After that she was started with chemotherapy. Within few days she developed rashes over the areas where radiation was given. Which of the following drug can cause this condition
1. Actinomycin
2. Bleomycin
3. Mitomycin
4. Busulfan

Correct answer: 1. Actinomycin

Explanation: The above phenomenon is termed as "Radiation recall syndrome" where severe skin reaction is seen after initiation of anti-cancer drugs soon or during radiotherapy. It is seen with drugs like Actinomycin, Doxorubicin, Daunoxubicin.